All of the following are seen in the lungs in fresh water drowning, EXCEPT:
1. Lungs are ballooned and light
2. Colour is pink
3. Emphysematous
4. No crepitus heard

Correct answer: 4. No crepitus heard

Explanation: Crepitus is heard in fresh water drowning, but it is absent in sea water drowning. Difference in lungs between freshwater and seawater drowning: Trait Freshwater drowning Seawater drowning Size and weight Ballooned but light Ballooned and heavy; weight upto 2 kg Colour Pale pink Purplish or bluish Consistency Emphysematous Soft and jelly like Shape after removal from the body Retained; do not collapse Not retained; tend to flatten out Sectioning Crepitus is heard Little froth and no fluid No crepitus. Copious fluid and froth Ref: The Essentials of Forensic Medicine and Toxicology by K S Narayan Reddy, 27th edition, Page 326.